Which of the following nerve carries fibers from all the roots of brachial plexus?
1. Axillary
2. Ulnar
3. Median
4. Musculocutaneous

Correct answer: 3. Median

Explanation: Root values of the nerves are as follows: Median nerve:C5,C6,C7,C8,T1 Axillary nerve: C5, C6 Musculocutaneous nerve: C5, C7. Ulnar nerve: C7, C8, T1. The median nerve originates from the lateral and medial cords of the brachial plexus and has contributions from ventral roots of C5-C7{Lateral cord} and C8 and T1 {medial cord}. REF: BD Chaurasia 7th edition page no:57.